Pasteur developed the vaccine for -
1. Anthrax
2. Rabies
3. Chicken cholera
4. All of the above

Correct answer: 4. All of the above